How many stop codons are seen?
1. 1
2. 2
3. 3
4. 4

Correct answer: 3. 3

Explanation: Ans. (c) 3* Stop codons are a normal part of protein synthesis--they are the reason that all proteins do not go on 'forever.During translation, it is stop codon on mRNA sequence, that terminates the process. Therefore they are known to act as terminator codon.* There are three stop codons namely:# UAG: Amber# UGA: Opal# UAA: OchreInitiator codon:* In eukaryotes: AUG (codes for methionine)* In prokaryotes: AUG (codes for N-Formyl methionine)* UGA codes for tryptophan in mitochondrial DNA.